All are associated with pituitary apoplexy except:
1. Hyperthyroidism
2. Diabetes mellitus
3. Sickle cell anemia
4. Hypertension

Correct answer: 1. Hyperthyroidism

Explanation: Ans. is 'a' i.e. Hyperthyroidism Pituitary apoplexy * Acute intrapituitary hemorrhagic vascular event causing substantial damage to pituitary.Symptoms of pituitary apoplexy * Endocrinal emergencySevere hypoglycemiaHypotensionCentral nervous system hemorrhage and death.Acute symptomsSevere headache with signs of meningeal irritationB/L visual changesOphthalmoplegiaCardiovascular collapse and loss of consciousness (in severe cases)Causes of pituitary apoplexyPreexisting adenoma (spontaneously)Postpartum (Sheehan's syndrome)Diabetes mellitusHypertensionSickle cell anemiaAcute shockDiagnosisCT or MRI reveal signs of intratumoral or sellar hemorrhage with deviation of pituitary stalk and compression of pituitary tissue.TreatmentPatient with no evidence of visual loss or impaired consciousnessManaged conservatively with high dose glucocorticoidPatient with significant visual loss and loss of consciousnessRequire urgent surgical decompressionVisual recovery is inversely correlated with the length of the time after the acute event